Potassium iodide is useful in the treatment of ?
1. Sporotrichosis
2. Impetigo
3. Viral was
4. Dermatitis herpetiformis

Correct answer: 1. Sporotrichosis

Explanation: Ans. is 'a' i.e., Sporotrichosis o Previously oral saturated solution of KI was used for sporotrichosis but now oral itraconazole is the drug of choice for cutaneous and lymphocutaneous sporotrichosis.